Staphylococcus secrete all except -
1. Lipase
2. Cellulose
3. Coagulase
4. Lecithinase

Correct answer: 2. Cellulose

Explanation: Ans. is 'b' i.e., Cellulose